All of the following changes may be observed in a normal pregnancy, EXCEPT:
1. Increase in blood viscosity
2. Fall in serum iron concentration
3. Increase in serum iron binding capacity
4. Increase in blood oxygen carrying capacity

Correct answer: 1. Increase in blood viscosity

Explanation: During pregnancy there is a disproportionate increase in plasma and RBC volume which produces a state of hemodilution during pregnancy. During pregnancy plasma volume increases upto 50%. RBC volume increases to the extend of 20-30%. The advantages of hemodilution are: Diminished blood viscosity ensures optimum gaseous exchange between the maternal and fetal circulation. Protection of mother against the adverse effects of blood loss during delivery. Ref: Textbook of Obstetrics By D.C. Dutta, 6th edition, Pages 51-55